True regarding 2nd degree heart block:
1. It is complete heart block
2. It gives rise to idioventricular rhythm
3. It is responsible for Stokes-Adam's syndrome
4. The ventricular rate is slower than the atrial rate.

Correct answer: 4. The ventricular rate is slower than the atrial rate.

Explanation: In 2nd degree heart block - some of the SA nodal impulses do reach the ventricles whereas some are not able to reach the ventricles. Consequently, ventricular rate is slower than the atrial rate. 3rd degree heart block is called the complete heart block, when no impulse from SA node reaches the ventricles. Since ventricles remain quiescent for a while, it results in dizziness followed by syncope - Stokes Adam's syndrome.